Notifiable diseases to WHO are all except ?
1. Cholera
2. Plague
3. Yellow fever
4. Tuberculosis

Correct answer: 4. Tuberculosis

Explanation: Ans. is 'd' i.e., Tuberculosis